A patient presented with sudden onset of floater and perception of falling of a curtain (veil) in front of the eye which one of the following is the most appropriate diagnosis:
1. Retinal detachment
2. Eale's disease
3. Vitreous haemorrhage
4. Glaucoma

Correct answer: 1. Retinal detachment

Explanation: Ans. Retinal detachment